Renal transplantation is most commonly done in:
1. Chronic glomerulonephritis
2. Bilateral staghorn calculus
3. Horse shoe kidney
4. Oxalosis

Correct answer: 1. Chronic glomerulonephritis

Explanation: Ans. (a) Chronic glomerulonephritisRef: Bailey and Love 26th edition, Page 1423Most common causes of renal failure and indications for transplant* Diabetes* Hypertension* Glomerulonephritis* PCKD* Renal Vascular disease* Pyleonephritis